Which of the following nerves are branches of mandibular nerve?
1. Lingual, facial and palatine nerve
2. Lingual and inferior alveolar nerves
3. Inferior alveolar and cervical nerves
4. All of the above

Correct answer: 2. Lingual and inferior alveolar nerves